Fast breathing in less than 2 months old chld the respiratory rate is
1. 60 breaths per minute
2. 50 breaths per minute
3. 40 breaths per minute
4. 30 breaths per minute

Correct answer: 1. 60 breaths per minute

Explanation: Ref:Park's Text book of Preventive and Social Medicine 25th ed